Which of the following mineral has antioxidant property-
1. Calcium
2. Magnesium
3. Zinc
4. Iron

Correct answer: 3. Zinc

Explanation: Ans. is 'c' i.e., Zinc o The activity of the antioxidant enzymes depends on supply of minerals:- 1) Manganese 2) Copper 3) Zinc 4) Selenium o Manganese, copper and zinc are required for the activity of superoxide dismutase. o Selenium is required for the activity of glutathione peroxidase.